Following is true about diagnosis of pancreatitis
1. Amylase is more specific
2. Lipase levels correlate with severity
3. BALTHAZAR score used for severity
4. All of the above

Correct answer: 3. BALTHAZAR score used for severity

Explanation: BALTHAZAR score 1s used to know the severity of pancreatitis using CT.